Deficit in weight for height in a 3 years old child indicates -
1. Acute malnutrition
2. Chronic malnutrition
3. Concomittant acute and chronic
4. Under weight

Correct answer: 1. Acute malnutrition

Explanation: Ans. is 'a' i.e., Acute malnutrition o Wasting (deficit in weight for height) ---> Acute malnutrition. o Stunting (deficit in height for age) --> Chronic malnutrition. o Wasting and stunting ---> Acute on chronic malnutrition. o Underweight (low weight for age) --> Combined indicator to reflect both acute and chronic malnutrition.